Carbamazepine in elderly patient can cause
1. Hyponatremia
2. Hypokalemia
3. Hyperkalemia
4. Hypernatremia

Correct answer: 1. Hyponatremia

Explanation: - Carbamazepine DOC for focal seizures DOC for trigeminal neuralgia Used for Diabetes insipidus Bipolar disorder Adverse effect - Release of ADH (leading to dilutional hyponatremia), Agranulocytosis, Aplastic anaemia